Hinge axis is located with the help of:
1. Ear rods
2. Maxillomandibular vertical relations
3. Kinematic facebow
4. Orbital pointer

Correct answer: 3. Kinematic facebow

Explanation: True hinge axis is located with a kinematic facebow and arbitrarily by an arbitrary type facebow (ear piece/facia type).